Neurotoxicity is seen with excess of ?
1. Vitamin B6
2. Vitamin B12
3. Vitamin B2
4. Vitamin C

Correct answer: 1. Vitamin B6

Explanation: Ans. is 'a' i.e., Vitamin B6